A 23 year old female with type I diabetes presented with 6 weeks of amenorrhea. Her urine pregnancy test turned to be positive. Her sugar levels are not in control. The child may have all of the following abnormalities, EXCEPT:
1. Chromosomal abnormalities
2. Caudal regression
3. Renal agenesis
4. Duplex ureter

Correct answer: 1. Chromosomal abnormalities

Explanation: Diabetes is not associated with increased risk for fetal chromosomal abnormalities. Congenital malformations in infants of women with overt diabetes: Caudal regression Situs inversus Spina bifida, hydrocephaly, or other central nervous system defects Anencephaly Cardiac anomalies Anal/rectal atresia Renal anomalies Agenesis Cystic kidney Duplex ureter Ref: Cunningham F.G., Leveno K.J., Bloom S.L., Hauth J.C., Rouse D.J., Spong C.Y. (2010). Chapter 52. Diabetes. In F.G. Cunningham, K.J. Leveno, S.L. Bloom, J.C. Hauth, D.J. Rouse, C.Y. Spong (Eds), Williams Obstetrics, 23e.